Human anatomical waste is disposed by?
1. Incineration
2. Autoclaving
3. Chemically
4. None

Correct answer: 1. Incineration

Explanation: ANSWER: (A) IncinerationREF: Park 20th edition page 699, align="center" style="font-family: Times New Roman, Times, serif">ColourcodeType of containerWaste disposedTreatment optionsBlack bagPlastic bagNoninfectious waste (papers, plastic covers) Discarded medicines & cytotoxic drugsDisposal in secured landfillsRed bagPlastic bag/ Disinfected containerInfected solid disposable wastes other than sharps (gloves, tunings, catheters, iv sets)Infected solid wastes contaminated with blood and body ftuidsfdressing, plaster, linen) Microbiology/Biotech waste (vaccines, cultures)Autoclaving/ Microwaving/ Chemical treatmentYellow bagPlastic bagHuman anatomical iwaste Animal wasteMicrobiology/Biotech waste (vaccines, cultures) Infected solid wastes contaminated with blood and body fluidsf dressing, plaster, linen)Incineration/Deep burialBlue bagPlastic bag/ Puncture proof containerSolid sharps (needles, syringes, scalpels, blades) Infected solid disposable wastes other than sharps (gloves, tunings, catheters, iv sets)Autoclaving/ Microwaving/Chemical treatment/ Shredding